Which one of the following inhalational anesthetics is most likely to cause fluoride ion nephrotoxicity?
1. Metho-oxyflurane
2. Enflurane
3. Halothane
4. Isoflurane

Correct answer: 1. Metho-oxyflurane

Explanation: Ans. is 'a' i.e., Methoxyflurane o All inhalational agents depress renal function by decreasing the renal blood flow. Direct toxicity is caused by fluorinated compounds due to the production of Inorganic fluoride (F ).AgentFluoride level producedo Methoxyflurane50-80 mm (maximum)o Sevoflurane30 - 50 mmo Enflurane20 - 25 mmo Isoflurane4-8 mmo HalothaneProduces only in anaerobic conditionso DesfluraneNil (minimal)o Renal threshold beyond which fluoride levels are toxic is 50 mm. Methoxyflurane is most nephrotoxic -Causes high output (Polyuric) renal failure. Desflurane has no nephrotoxicity.o Sevoflurane & enflurane does not cause renal toxicity in a normal person but should be avoided in renal diseases.